Mutton fat keratic precipitates are not seen in –
1. Tuberculosis
2. Fuch's heterochromic cyclitis
3. Sarcoidosis
4. Fungal infection

Correct answer: 2. Fuch's heterochromic cyclitis

Explanation: Mutton fat KPs are seen in granulomatous uveitis. Fuch's heterochromic iridocyclitis is a type of non-granulomatous uveitis.
Other three options can cause granulomatous uveitis.